Denominator age group for calculation of dependency ratio is
1. 0-5 years
2. 5-15 years
3. 65 years and above
4. 15-65 years

Correct answer: 4. 15-65 years